Xanthelasma bulbar all are true EXCEPT:
1. Dots occurring on lateral side of eye
2. Occur in middle aged women
3. Creamy yellow in color
4. Associated with Diabetes

Correct answer: 1. Dots occurring on lateral side of eye

Explanation: ANSWER: (A) Dots occurring on lateral side of eyeREF: Khurana 4th ed p. 359XANTHELASMA BULBAR:Creamy yellow plaquesInvolve skin over inner canthusIn middle aged womenAssociated with diabetes and hypercholestrolemia